Which of the following true regarding Hemophilia A
1. Serum levels of factor VIII are decreased
2. Deficiency of factor IX
3. PT increased
4. FIT decreased

Correct answer: 1. Serum levels of factor VIII are decreased

Explanation: * Hemophilia is an X linked disorder of coagulation caused by the deficiency in a circulating plasma protein. Hemophilia A is caused by the deficiency of factor VIII, and hemophilia B is caused by the deficiency of factor IX. * It is PTT which is affected (increased) and not PT (unaffected). * Factor VIII is involved in the intrinsic pathway which is measured by PTT and not in extrinsic pathway which is measured as PT. * Bleeding is the common manifestation of hemophilia and the common bleeding manifestations are hemahoses, hematomas, mucocutaneous bleeding, intracranial bleeding, hematuria and pseudotumor. REF : HARRISONS 21ST ED